All are true about disseminated nocardial infection, EXCEPT:
1. The most common site of dissemination is liver
2. The typical manifestation is subacute abscess
3. Brain abscess are usually supratentorial
4. Sulfonamides are the drug of choice

Correct answer: 1. The most common site of dissemination is liver

Explanation: The most common site of dissemination in nocardiosis is the brain. The typical manifestation of extrapulmonary dissemination is a subacute abscess. In CNS infections, brain abscesses are usually supratentorial, are often multiloculated.Sulfonamides are the drug of choice. Ref: Harrisons Principles of Internal Medicine, 18th Edition, Pages 1323-25